A 24-year-old woman has been unsuccessful becoming pregnant. She is admitted with abdominal pain; her blood pressure is 90/60 mm Hg, her pulse rate is 102 beats per minute (bpm), and her hematocrit (HCT) is 28%. Features of ectopic pregnancy include which of the following?
1. Elevated blood pressure on assuming an erect position
2. Pulsus paradoxus
3. Tenderness below the right subcostal margin (Murphy's sign)
4. Pain referred to the supraclavicular region

Correct answer: 4. Pain referred to the supraclavicular region

Explanation: Free bleeding in the peritoneal cavity results in pain referred to the right supraclavicular region due to diaphragmatic irritation. Patients who present with abdominal pain and (usually) a history of missed menstruation should undergo a pregnancy test after hospital admission.